Under Swajaldhara - 2 project, the area included is?
1. Block
2. Tehsil
3. Gram panchayat
4. District

Correct answer: 4. District

Explanation: Answer: D. District. (Ref Park's Textbook of PSM 22nd/Pg.428)Swajaldhara I (first dhara) is for a gram panchayat or a group of panchayats (at block / tehsil level) AND Swajaldhara II (second Dhara) has district as the project area.Swajaldhara was launched on 25th December 2002. It is a community led participatory programme , which aims at providing safe drinking water to rural area, with full ownership of community, building awareness among the village community on the management of drinking water projects, including better hygiene practices and encouraging water conservation practices along with rainwater harvesting.It has 2 components:-1. Swajaldhara I (first Dhara)- for gram panchayat or group of panchayats2. Swajaldhara II (Second Dhara)- district as project area.Swajaldhara Programme* Swajaldhara Programme is an extension of Sector Reform Programme launched by hon'ble Prime Minister on 25 th December, 2002.* States can implement Swajaldhara in blocks / gram panchayats / beneficiary groups following all the fundamental reform principles.* Community is required to contribute 10% of capital cost if general category and 5% if the SC/ST population is 50% or more.* Full responsibility of O & M of the schemes should be undertaken by communities and panchayats.* One time O & M grant would be released to users group within 6 months after taking over the scheme as revolving fund.* District wise physical and financial progress of Swajaldhara schemes in Assam are shown below